Which of the following is not true about IgA nephropathy
1. The pathological changes are proliferative and usually confined to mesangial cells; usually focal and segmental
2. Hematuria may be gross or microscopic
3. On immunofluorescence depodits contain IgA and IgG
4. Absence of associated proteinuria is pathognomic

Correct answer: 4. Absence of associated proteinuria is pathognomic

Explanation: IgA nephropathy, characterized by mesangial deposits of IgA-containing immune complexes, is the most common cause of nephritic syndrome worldwide; it is also a common cause of recurrent hematuria; it commonly affects children and young adults and has a variable course. Histologically, the lesions in IgA nephropathy vary considerably.The glomeruli may be normal or may show mesangial widening and segmental inflammation confined to some glomeruli (focal proliferative GN); diffuse mesangial proliferation (mesangioproliferative GN); or (rarely) overt crescentic GN. The characteristic immunofluorescence picture is of mesangial deposition of IgA, often with C3 and properdin and smaller amounts of IgG or IgM. Ref: Robbins basic book of pathology 10th edition page 530